Retina is part of-
1. CNS
2. PNS
3. ANS
4. None

Correct answer: 1. CNS

Explanation: Ans. is 'a' i.e., CNS * Retina is a part of CNS and develops along with CNS.* Retina develops from walls of optic cup. The outer thinner layer becomes retinal pigmented epithelium and inner thicker layer forms neural layer of retina.